Which of the following structures constitutes part of ventricle of heart?
1. Auricle
2. Crista terminalis
3. Fossa ovalis
4. Trabeculae carneae

Correct answer: 4. Trabeculae carneae

Explanation: Trabaculae carnae is in right ventricle.fossa ovalis is in intratrial septum.crista terminalis and auricle are is in atrium. BD CHAURASIA's human anatomy VOLUME 1. 6th edition.page no-254,255,256.